Dose of levonorgestrel used for emergency contraception:-
1. 0.75 mg within 72 hours
2. 1.5 mg within 72 hours
3. 1.5 ug within 72 hours
4. 3 ug within 72 hours

Correct answer: 2. 1.5 mg within 72 hours

Explanation: Levonorgestrel is Doc for emergency contraception 0.75 mg tablets ( 2 tablets) 12 hrs apart. 1.5 mg tablet ( 1 tablet ) within 72 hrs. This is the only method of emergency contraception approved for use by Drug Controller of India Note:- IUCD - used up to 5th day after intercourse.